A moribund patient who is not expected to survive without an operation is put under which category as per the ASA Physical status classification system?
1. P2
2. P4
3. P5
4. P6

Correct answer: 3. P5

Explanation: ASA Physical Status Classification System P1 A normal healthy patient P2 A patient with mild systemic disease P3 A patient with severe systemic disease P4 A patient with severe systemic disease that is a constant threat to life P5 A moribund patient who is not expected to survive without the operation P6 A declared brain-dead patient whose organs are being removed for donor purposes Score Mortality (%) P1 0.1 P2 0.2 P3 1.8 P4 7.8 P5 9.4 ref - Researchgate.net